Drug of choice for herpes zoster is:
1. Acyclovir
2. Idoxuridine
3. Ganciclovir
4. Valaciclovir

Correct answer: 4. Valaciclovir

Explanation: Ans. D: Valaciclovir The varicella-zoster virus is less susceptible to acyclovir. As such, higher doses are needed and it should be used only in immunocompromised individuals or in severe cases. Valaciclovir is an ester prodrug of acyclovir with improved oral bioavailability. Thus higher plasma concentration of acyclovir is obtained improving clinical efficacy in certain conditions; e.g. it is the drug of choice in herpes zoster